Maximum ESR is seen in -
1. CHF
2. Polycythemia vera
3. Multiple myeloma
4. Sickle cell anemia

Correct answer: 3. Multiple myeloma